Which of the following is not a prodrug -
1. Enalapril
2. Sulindac
3. Cortisone
4. Diazepam

Correct answer: 4. Diazepam

Explanation: Ans. is 'd' i.e., Diazepam Prodrugo Few drugs are inactive as such and need conversion in the body to one or more active metaboliteso Such a drug is called a prodrug.Prodrus LevodopaOxcarbazepineMercaptopurineBenorilateEnalaprilPrednisoneFluorouracilProguanila - MethyldopaBacampicillinSulindacZidovudinChloral hydrateSulfasalazineAzathioprineTerfenadineDipiveffineCyclophosphamideCortisoneProntosil